Enzyme associated with hyperuricemia:
1. Glucose-6-phosphatase
2. PRPP (PhosphoRibosyl PyroPhosphate) glutamylamidotransferase
3. Xanthine oxidase
4. All of the above

Correct answer: 4. All of the above

Explanation: Uric acid is the end product of purine metabolismHyperuricemia refers to an elevation in the serum uric acid concentration.In type I glycogen storage disease (von Gierke's), glucose 6-phosphate can Not be converted to glucose due to the deficiency of glucose-6-phosphatase.This leads to increased utilization of glucose-6-phosphate by hexose monophospahet shunt (HMP shunt), resulting in increased levels of ribose-5-phosphate and PRPP, and ultimately purine overproduction.Von-Gierkes disease is also associated with increased activity of glycolysis. Due to this, lactic acid accumulates in the body which interferes with the uric acid excretion through renal tubulesThe lack of feedback control by PRPP glutamylamidotransferase by purine nucleotides also leads to their elevated synthesisXanthine oxidase is an important enzyme that converts hypoxanthine to xanthine, and xanthine to uric acid.